Bumper fracture is
1. Lateral tibial condyle fracture
2. Medial  tibial condyle fracture
3. Calcaneum fracture
4. Sacrum fracture

Correct answer: 1. Lateral tibial condyle fracture